Drug used in heparin overdose:
1. Protamine sulfate
2. Phylloquinone
3. Ticlopidine
4. Clopidogrel

Correct answer: 1. Protamine sulfate

Explanation: Excessive anticoagulant action of heparin is treated by discontinuance of the drug. If bleeding occurs, administration of a specific antagonist such as protamine sulfate is indicated. Protamine is a highly basic, positively charged peptide that combines with negatively charged heparin as an ion pair to form a stable complex devoid of anticoagulant activity. For every 100 units of heparin remaining in the patient, 1 mg of protamine sulfate is given intravenously. Excess protamine must be avoided; it also has an anticoagulant effect. Ref: Zehnder J.L. (2012). Chapter 34. Drugs Used in Disorders of Coagulation. In B.G. Katzung, S.B. Masters, A.J. Trevor (Eds), Basic & Clinical Pharmacology, 12e.